Local application of which of the following is of benefit in the management of psoriasis:
1. Adapalene
2. Benzyl benzoate
3. Nateglinide
4. Salicylic acid

Correct answer: 4. Salicylic acid

Explanation: Salicylic acid enhances rate of loss of surface scale( keratolytic agent) and useful in psoriasis. Adapalene is a topical retinoid-like drug (third gen topical retinoid) used in mild to moderate acne. Benzyl benzoate is used for Rx of scabies. Nateglinide is used in type 2 DM in combination with metformin.